Site of action of anti diuretic hormone is :
1. Loop of Henle
2. Proximal tubule
3. Distal tubule
4. Cortical collecting duct

Correct answer: 4. Cortical collecting duct